Nerve of medial compartment of thigh:-
1. Femoral
2. Obturator
3. Tibial
4. Common peroneal

Correct answer: 2. Obturator

Explanation: NERVE COMPARTMENT OF THIGH Femoral Anterior (quadriceps femoris) Obturator Medial Sciatic Posterior